Efferent from cerebellum is through
1. Granule cells
2. Golgi cells
3. Purkinje cells
4. Basket cells

Correct answer: 3. Purkinje cells

Explanation: The outgoing Purkinje axons constitute the sole output from the cerebellar cortex and exert an inhibitory influence on intracerebellar nuclei.granule cells are the only intrinsic neurons. of cerebellum which is excitatory.(Ref: Vishram Singh textbook of clinical neuroanatomy second edition pg 116)